Delusion is :
1. Comprehensible
2. Reasonable
3. Both
4. None

Correct answer: 4. None

Explanation: D. i.e. None